The index in which the tooth is divided into 9 segments is
1. Patient hygiene performance index
2. Plaque index of silness and Loe
3. Modified Navy plaque index
4. Glass criteria in estimating dental plaque

Correct answer: 3. Modified Navy plaque index